False about alcoholic anonymous is:
1. It is a self help group
2. It follows 12 steps to quite alcohol
3. It includes recovered patients and volunteers
4. It provides incentives for quitting alcohol

Correct answer: 4. It provides incentives for quitting alcohol

Explanation: No incentives are given in alcoholic anonymous Alcoholic anonymous : One of the most popular forms of alcohol addiction management and recovery support is Alcoholics Anonymous(AA), a spiritual12-Step program. It is a peer recovery and self-help program.